Following are the factors for increased risk of wound infection EXCEPT
1. Malnutrition
2. Good blood supply
3. Metabolic diseases (diabetes, uraemia)
4. Immunosuppression

Correct answer: 2. Good blood supply

Explanation: Ans. (b) Good Blood Supply(Ref. Surgery Sixer 3rd Edition Page 33)Systemic Factors causing non healing of Wound:* Diabetes* Radiation* Extremes of age* Hypothermia* Hypoxemia* Hypocholesterolemia* Hyperglycemia (Even if transit)* Malnutrition* Vitamin C and A deficiency* Zinc and Iron deficiency* Drugs: Steroids and Doxorubicin* Jaundice, Uremia and Malignancy* Immunosuppressed State